Which of the following is not used in the treatment of Pulmonary hypertension
1. Calcium channel blockers
2. Alpha blockers
3. Prostacyclin
4. Endothelin receptor antagonist

Correct answer: 2. Alpha blockers

Explanation: Refer CMDT 2010/381 management of of idiopathic Pulmonary hypertension if the patient respond to vasodilators the Calcium channel blockers (including amlodipine diltiazem and Nifedipin) are the first line agents of drugs other drugs that can be used are phosphodiesterase inhibitors(sildenafil) Prostacyclin analogue(epoprostenol) Endothelin receptor blockers(bosenton)